Typical field defect observed in anterior ischaemic optic neuropathy is
1. Homonymous hemianopia
2. Baring of the blind spot
3. Altitudinal hemianopia
4. Paracentral scotoma

Correct answer: 3. Altitudinal hemianopia

Explanation: ANTERIOR ISCHAEMIC OPTIC NEUROPATHY (AION) It refers to the segmental or generalised infarction of anterior part of the optic nerve. Etiology: The AION results from occlusion of the short posterior ciliary arteries. Depending upon the etiology it may be typified as follows: 1. Idiopathic AION: It is the most common entity, thought to result from the atherosclerotic changes in the vessels. 2. Arteritic AION: It is the second common variety. It occurs in association with giant cell arteritis. 3. AION due to miscellaneous causes. Clinical features: Visual loss is usually marked and sudden. Fundus examination during acute stage may reveal segmental or diffuse oedematous, pale or hyperaemic disc, usually associated with splinter haemorrhages. Visual fields show typical altitudinal hemianopia involving the inferior (commonly) or superior half. Ref:- A K KHURANA; pg num:-297